Most sensitive test for carpal tunnel syndrome
1. Phalen's test
2. Tinel's sign
3. Tourniquet test
4. None

Correct answer: 1. Phalen's test

Explanation: Answer- A. Phalen's testThere are some provocative tests which act as important screening methods-Wrist flexion (Phalenb test) : - The patient is asked to actively place the wrist in compiete flexion. If tingling and numbness develop in the distribution of median nerve, the test is positive. This is the most sensitiye provocotive test.Tourniquet testMedial nerve percussion test (Tinel's sign)Median nerve compression test